Factor present in the final common terminal complement pathway is:
1. C4
2. C3
3. C5
4. Protein B

Correct answer: 3. C5

Explanation: The terminal pathway that is common to all pathways of the complement system leads to the membrane attack complex and consists of factors C5, C6, C7, C8 and C9 (C5b6789)